All are bacterial diseases except:
1. LGV
2. Donovanosis
3. Chancroid
4. Oral hairy leucoplakia

Correct answer: 4. Oral hairy leucoplakia

Explanation: Ans. D. Oral hairy leucoplakiaLGV- Chlamydia trachomatis L1, L2, L3, L4 serovars; Donovanosis or granuloma inguinale - Klebsiella granulomatis; Chancroid - Hemophilus ducreyi.Oral hairy leukoplakia is caused by EBV.